A 66 year old female is posted for subtotal gastrectomy for adenocarcinoma. The important procedure related complication:
1. Pneumothorax
2. Constipation
3. Hemolytic anemia
4. Bilious vomiting

Correct answer: 4. Bilious vomiting

Explanation: Ans. (d) Bilious vomitingRef: Sabiston 20th Edition, Page 1212Complications of Gastric Surgeries:* Dumping syndrome* Afferent loop syndrome* Efferent loop syndrome* Malabsorption syndrome (Anemia, hypocalcemia, B12 deficiency)* Alkaline reflux gastritis* Bile reflux gastritis* Gastric atony* Duodenal stump blow out.